Sweat gland near the lid margins
1. Moll
2. Zeis
3. Meibomian
4. Krause

Correct answer: 1. Moll

Explanation: Ans. is 'a' i.e., MollGlands of Moll (Moll's gland) are apocrine sweat glands just next to the eyelashes.Zeis glands are sebaceous glands near lid margins.Meibomian gland (tarsal glands) are specialized sebaceous gland at the rim of eyelids inside the tarsal plate.Krause's glands are accessory lacrimal glands underneath the eyelid.